A pt. of peptic ulcer disease. When investigated endoscopically showed chronic antral gastritis. Which of the following dye will be able to stain the specimen
1. PAS
2. Zeil-Neilson stain
3. Gram stain
4. Warthin-Starry stain

Correct answer: 4. Warthin-Starry stain